C-C beta chemokine includes
1. IL-8
2. Eotaxin
3. Lymphotactin
4. Fractalkine

Correct answer: 2. Eotaxin

Explanation: Ans. is 'b' i.e. Eotaxin ChemokinesChemokines are a family of small proteins that act primarily as chemoattractants for specific types of leucocytes.Chemokines stimulate leucocyte recruitment in inflammation and control the normal migration of cells through various tissues.Some chemokines are produced transiently in response to inflammatory stimuli and promote the recruitment of leucocytes to the sites of inflammation. Other chemokines are produced constitutively in tissues and function in organogenesis to organize different cell types in different anatomic regions of tissues.About 40 different chemokines and 20 different receptors for chemokines have been identified.They are classified into 4 major groups according to the arrangement of conserved cysteine residue in mature proteins.